Medial boundary of anatomical snuff box is formed by ?
1. Extensor pollicis longus
2. Extensor pollicis brevis
3. Abductor pollicis longus
4. Flexor carpi ulnaris

Correct answer: 1. Extensor pollicis longus

Explanation: Ans. is 'a' i.e., Extensor pollicis longus